Nalgonda technique is related to?
1. Fluorine
2. Chrlorine
3. Nitrate
4. Nitrites

Correct answer: 1. Fluorine

Explanation: NEERI DEVELOPED A TECHNIQUE FOR REMOVING FLUORIDE BY CHEMICAL DEFLOURIDATION OF WATER CALLED NALGONDA TECHNIQUE. REF. PARK'S TEXTBOOK OF PREVENTIVE AND SOCIAL MEDICAL 21ST EDITION. PAGE NO - 596